Which amino acid migrates fastest on paper chromatography on methylcellulose medium?
1. Aspartic acid
2. Valine
3. Lysine
4. Glycine

Correct answer: 2. Valine

Explanation: Chromatography paper contains about 15-20% water, held to the paper fibers. This water acts as the stationary phase in paper chromatography. Amino acids are separated according to their solubility in the water and in an organic solvent (the mobile phase) moving up the paper. The most non-polar amino acids migrate the farthest, due to their greater solubility in the organic solvent.
Paper also acts as an adsorbent, having an affinity for polar groups.
Among the given options, Glycine and Valine are non-polar amino acids (hydrophobic). Aspartic acid and Lysine are polar amino acids. Valine is more non-polar than glycine.